Antihypertensive drug that causes coombs test positive is
1. Methydopa
2. Clonidine
3. Hydralizine
4. Sodium nitroprusside

Correct answer: 1. Methydopa

Explanation: Refer kDT 6/e p547 Methyldopa is known to cause the production of autoantibodies against red blood cells (RBCs), leading to apositive direct antiglobulin test (DAT) and hemolytic anemia. ... Her mother had the history of taking methyldopain her pregnancy.